Radiation exposure during infancy has been linked to
1. Breast
2. Melanoma
3. Thyroid
4. Lung

Correct answer: 3. Thyroid

Explanation: Ans. (c) ThyroidRef: Robbin's pathology 9th ed. /109* The most radio-sensitive organ sites in children in the order of sensitivity are thyroid, breasts, bone marrow and brain.* Exposure to ionizing radiation in first 2 decades predisposes a person for development of papillary CA.